Most common type of BCC is:
1. Nodular
2. Granular.
3. Micronodular.
4. Morpheaform.

Correct answer: 1. Nodular